Who among the following discovered small pox vaccination?
1. John Hunter
2. Louis Pasteur
3. Edward Jenner
4. James Lind

Correct answer: 3. Edward Jenner

Explanation: Edward Anthony Jenner was an English physician who was the pioneer of smallpox vaccine. He is often called "the father of immunology". Ref: Park, 21st Edition, Page 6.